In a young female Vaginal smear shows budding yeast is:
1. Candida
2. Chlamydia
3. Histoplasma
4. Coccidomycosis

Correct answer: 1. Candida

Explanation: Candida